All of the following are risk factors of cervical cancer except?
1. Low parity
2. Multiple partners
3. Early sexual intercourse
4. Smoking

Correct answer: 1. Low parity

Explanation: Ans. a. Low parity (Ref:CUGDT 9/e p904)Multiparity (not the low parity), Multiple partners, Early sexual intercourse and Smoking are the risk factors for carcinoma cervix.Risk Factors for Carcinoma Cervix* Early intercourse: (Coitus before the age of 18 years)* Multiple sexual partners* Delivery of the first baby before the age 20 years* Multiparity* Sexually transmitted infections: HIV, HSV-2, HPV (16, 18, 31,33), Condylomata* History of preinvasive lesions* Combined OCPs and progesterone (use over long period)* Smoking* Alcohol* Drug abuse* Low socioeconomic status* Poor personal hygiene* Immunocompromised individuals